Cholera is caused by?
1. Vibrio cholera.01
2. Enterococcus
3. V. Parahemolyticus
4. E.coli

Correct answer: 1. Vibrio cholera.01

Explanation: ANSWER: (A) Vibrio cholera.01, (B) Vibrio cholera 0139REF: Harrisons 18th ed chapter 156While the term cholera has occasionally been applied to any severely dehydrating secretory diarrheal illness, whether infectious in etiology or not, it now refers to disease caused by V. cholerae serogroup O1 or O139i.e., the serogroups with epidemic potential